Which of the following areas of the adrenal gland would you expect to increase in activity in a patient subjected to salt restriction?
1. Adrenal medulla
2. Zona fasciculata of the adrenal cortex
3. Zona glomerulosa of the adrenal cortex
4. Zona reticularis of the adrenal cortex

Correct answer: 3. Zona glomerulosa of the adrenal cortex

Explanation: This question requires you to equate salt restriction with an increased synthesis of aldosterone (aldosterone promotes sodium reabsorption) and then to remember that aldosterone is produced in the zona glomerulosa of the adrenal cortex. The zona glomerulosa is the outermost layer of the adrenal cortex. The adrenal medulla secretes catecholamines. The zona fasciculata is the middle layer of the adrenal cortex. It primarily secretes glucocorticoids. The zona reticularis is the innermost layer of the adrenal cortex. It primarily secretes androgens such as dehydroepiandrosterone (DHEA). Ref: Barrett K.E., Barman S.M., Boitano S., Brooks H.L. (2012). Chapter 20. The Adrenal Medulla & Adrenal Cortex. In K.E. Barrett, S.M. Barman, S. Boitano, H.L. Brooks (Eds), Ganong's Review of Medical Physiology, 24e.